Which process involves formation of non essential amino acid from keto acid ?
1. Deamination
2. Transamination
3. Dehydrogenation
4. Oxidation

Correct answer: 2. Transamination

Explanation: Ans. is 'b' i.e., Transamination o Transamination interconverts pairs of a-amino acids and a-keto-acids, i.e. one a-amino acid is converted to a keto- acid along with conversion of a keto-acid into an cx-amino-acid.Transaminationo Transamination involves the reversible transfer of a-amino group of a-amino acid to an a-keto acidQ to form a new amino acid and a new keto acid. The enzyme catalyze the reaction is called aminotransferase (transaminase). Most transaminases use a-ketoglutarate (a-keto acid) as a common acceptor of a-amino group of a-amino acids. All transaminases require pyridoxal phosphate (Vitamin B6) as a coenzymneQ. Some of the most important transaminases are: -i) Alanine transaminase (ALT) also called glutamate pyruvate transaminase (GPT): - It catalyzes the transfer of amino group of alanine to a-ketoglutarate resulting in formation of pyruvate and L-glutamate Q.ii) Aspartate transaminase (AST) also called glutamate oxaloacetate transaminase (GOT) : It catalyzes the transfer of amino group of aspartate to a-ketoefutarate resulting in formation of oxaloacetate and L-glutamate. Qo Most amino acids undergo transamination reaction except lysine, threonine, proline and hydroxvproline.o All the amino groups from amino acids that undergo transamination are collected into one common amino acid, i.e., glutamate. This is important because L-glutamate is the only amino acid that undergoes oxidative deamination at an appreciable rate in mammalian tissue. Thus, formation of ammonia from amino acids occurs mainly via the a-amino nitrogen of glutamate. Transamination is not restricted to a-amino groups. The d-amino group of ornithine (but not the e-amino group of lysine) undergoes transmination,